Avascular necrosis is seen in -a) Sickle cell diseaseb) Thalassemiac) Polycythemiad) Hyperparathyroidism
1. a
2. bc
3. ac
4. b

Correct answer: 3. ac

Explanation: Sickle cell anemia and polycythemia can cause AVN.